If the origin of the masseter muscle is more medial on the zygomatic arch (ramus perpendicular), the space in the distobuccal area is
1. Decreases
2. Remains the same
3. Increases then decreases
4. Increases

Correct answer: 1. Decreases